Megaloblastic anemia due to folic acid deficiency is commonly due to:
1. Inadequate dietary intake
2. Defective intestinal absorption
3. Absence of folic acid binding protein in serum
4. Absence of glutamic acid in the intestine

Correct answer: 1. Inadequate dietary intake

Explanation: - Folic acid deficiency is primarily d/t - insufficient intake and increased demand - Vitamin B12 deficiency is primarily d/t - malabsorption. MEGALOBLASTIC ANAEMIA: - Cause - vit B12/ Folic acid deficiency - Peripheral smear shows : Anisopoikilocytosis, Macro ovalocytes, Hypersegmented neutrophils - TREATMENT: Vitamin B12 and Folic acid supplementation.